All are true about otitic barotrauma except
1. Conductive deafness
2. Retracted tympanic membrane
3. Catheterization can be used
4. Occurs during sudden ascent in aircraft

Correct answer: 4. Occurs during sudden ascent in aircraft

Explanation: Otitic barotrauma is a nonsuppurative condition resulting from the failure of the eustachian tube to maintain middle ear pressure at ambient atmospheric level. The usual cause is rapid descent during an air flight, underwater diving or compression in the pressure chamber. Severe earache, tinnitus, hearing loss are common complaints. Hearing loss is usually conductive, but the sensorineural type may also be seen. Reference: Diseases of Ear, Nose and Throat, PL Dhingra, Shruti Dhingra,7th edition, pg no.71